In seminoma which of the following markers are raised
1. Alfa AFP
2. Beta HCG
3. Beta HCG and LDH
4. Alfa AFP , beta HCG and LDH

Correct answer: 3. Beta HCG and LDH

Explanation: Alfa AFP , beta HCG and LDH are testicular tumor markers
Seminomas do not show raise in AFP.